The procedure of choice for elective removal of CBD stones for most patient is
1. Open choledocholithotomy
2. Endoscopic choledocholithotomy
3. Laparoscopic choledocholithotomy
4. Percutaaneous choledocholithotomy

Correct answer: 2. Endoscopic choledocholithotomy

Explanation: The procedure of choice for elective removal of CBD stones is Endoscopic choledocholithotomy.i.e.,endoscopic papillotomy(sphincterotomy)and stone extraction through Dormia basket or balloon catheter.CBD stent is placed in situ.Once the CBD stones are extracted,laparoscopic cholecystectomy is done. Reference:SRB's manual of surgery,5th edition,page no:651.